Which of the following is a cause of positive Hennebert's sign-
1. Congenital Syphilis
2. Fenestrstio0n nsurgery
3. Cholesteatoma
4. Dead labyrinth

Correct answer: 1. Congenital Syphilis

Explanation: Ans. is 'a' i.e., Congenital Syphilis False positive fistula test (Hennebert sign)o False positive fistula test refers to a positive fistula test without the presence of a perilymph fistulao It can be due to:-i) Congenital syphilis Stapes footplate is hypermobile, so even small pressure changes in ear cause excessive movement of stapes footplate and excessive stimulation of utricular macula.ii) Meniere's disease (25% of cases) Fibrous bands connecting utricular macula to footplate of stapes.False negative fistula testo False negative fistula test refers to a negative fistula test in the presence of perilymph fistulao Causes are1) Dead labyrinth (dead inner ear)As the labyrinth is dead, there will be no response even if a perilymph fistula is present.2) Cholesteatoma covering the site of fistula It does not allow pressure changes to be transmitted to the labyrinth.